A 42 yr old patient came to AIIMS emergency dept with history difficulty in breathing after 7months she was discharged from BURNS UNIT O/E O2sat was decreasing to 80%, RR-20/min BP-110/74mmHg & on local examination of neck there was post burns contracture of neck with restricted neck extension ideal method of intubation in this case....?
1. Laryngeal mask airway
2. Nasal intubation after intravenous induction
3. Fiber optic intubation
4. Tracheostomy

Correct answer: 3. Fiber optic intubation

Explanation: Fibre optic devise is ideal for intubation in difficult / inadequate mouth opening , inadequate neck movement. indications Difficult intubation (e.g. awake fiberoptic intubation) Suction of secretions or blood from the airways Guide placement of a percutaneous tracheostomy, double-lumen tube, bronchial blockers and endobronchial valves Treatment of specific disorders (e.g. control bleeding from focal lesions) DESCRIPTION Flexible long, thin plastic tube enclosing a fibreoptic system that attaches to a light source and transmits views from the distal tip to an eyepiece eyepiece can attach to a camera and/or video system that displays images on a screen flexible tip can be moved to negotiate passage of the tip into the airways using a lever controlled by the operators hand (Bowden cable system) suctioning channel connected to the tip and controlled on the proximal hand piece instrumentation port (for inserting instruments such as brushes or biopsy forceps or injecting saline) ergonomic design of the control section that fits the hand 120deg field of view with 180deg up and 130deg down angulation Range of tip diameters (e.g. 2.8 mm to 5.9 mm for Olympus scopes), sizes of instrument channels and lengths (e.g. longer length with smaller diameter needed for double-lumen tubes) Accessories can be either disposable or autoclavable (e.g. suction connector; instrument channel cover)